Flask shaped ulcers intestine caused by which of the following?
1. Typhoid
2. TB
3. Entamoeba histolytica
4. Giardia

Correct answer: 3. Entamoeba histolytica

Explanation: Infection Ulcer Typhoid Longitudinal ulcer TB Transverse ulcer Entamoeba Histolytica Flask shape ulcer Broad base ulcer(flask shape ulcer) is seen in entamoeba histolytica. Giardia is a noninvasive cause of malabsorption.